Which of these is present midway between the anterior superior iliac spine and the pubic symphysis?
1. Deep inguinal ring
2. Superficial ring
3. Femoral artery
4. Intra epigastric artery

Correct answer: 3. Femoral artery

Explanation: Midway between the anterior superior iliac spine and the pubic symphysis in midinguinal pointIt's landmark for femoral artery